Posterior palatal seal is recorded when the head is bent at:
1. 30°
2. 15°
3. 60°
4. 45°

Correct answer: 1. 30°